The denominator of general fertility rate is:
1. Midyear population of women of 1544 years of age
2. Total year population of women of reproductive age group
3. Average population of women in a year
4. Any of the above

Correct answer: 1. Midyear population of women of 1544 years of age

Explanation: Midyear population of women of 1544 years of age